Which muscle is an abductor of the vocal cords:
1. Oblique Arytenoid
2. Transverse Arytenoid
3. Lateral Thyroarytenoid
4. Posterior Cricoarytenoid

Correct answer: 4. Posterior Cricoarytenoid

Explanation: Muscle which abduct the vocal cord is posterior cricoarytenoid only